What is Kienboch's disease
1. Osteochondritis of lunate
2. Osteochondritis of neck of femur
3. Osteochondritis of navicular
4. Osteochondritis of tibial condyle

Correct answer: 1. Osteochondritis of lunate

Explanation: Ans. is 'a' i.e osteochondritis of lunate [Ref. : Maheshwari 3/e p269 (2/e, p268)JOsteochondritis :These are a group of miscellaneous affections of the growing epiphysis in children and adolescents.Typically, a bony nucleus of the epiphysis affected by osteochondritis becomes temporarily softened; and while in the softened stage it is liable to deformation by pressure.Common osteochondritis *NameSite affectedPerthes disease*Pannes disease*Kienbocks disease*Osgood shlatter's disease*Sever s disease*Kohler's disease*Freibergs disease*Scheurmann's disease*Calves disease*- Femoral head (most common)*- Capitulum- Lunate bone- Tibial tubercle- Calcaneal tuberosity- Navicular bone- Metatarsal head- Ring epiphysis of vertebrae- Central bony nucleus of vertebral body* Note that this is a very important chart and must be learnt very well. I had a method to remember it. I placed them in an order of sites affected from hand to foot and then made a mnemonic for the names. Site affectedName of diseaseMnemonic(In order from hand to foot) * Lunate boneKienbock's diseaseKhaike* CapitulumPanner's diseasePaan* Ring epiphysis of vertebraeScheuermann's diseaseSupreme* Central bony nucleus of vertebral bodyCalve s diseaseCourt* Femoral headPerthe \s diseasePassed* Tibial tubercleOsgood shlatter 's diseaseOrder to* Calcaneal tuberositySever's diseaseSever* Navicular boneKohler's diseaseKohl's* Metatarsal headFrieberg's diseaseFreedom